Me Callum patch is seen in the:
1. Right atrium
2. Left atrium
3. Left ventricle
4. Right ventricle

Correct answer: 2. Left atrium